A 68-year-old man presents with progressive shortness of breath. He had a metallic heart valve replacement 13 years ago for severe aortic stenosis. Which of the following clinical findings is most indicative of a failing aortic valve replacement?
1. Clicking sound to S2
2. Early diastolic murmur heard at the left sternal edge
3. New onset atrial fibrillation
4. Ejection systolic murmur heard in the aortic region

Correct answer: 2. Early diastolic murmur heard at the left sternal edge

Explanation: Option B: Early diastolic murmur heard at left sternal edge We know if metallic valves get older & undergo on sheering stress, so there will be backflow of blood from aorta to L.V so early diastolic murmur heard at left sternal edge. Severe aortic stenosis : 1.Transvalvular pressure gradient of > 40 mmHg. 2. Ejection velocity - >4 m/sec 3. Size of orifice - < 0.6 cm2/ m2 BSA